Visual fields diagnosed by -
1. Pachymetry
2. Perimetry
3. Corneal topography
4. Optical coherence tomography

Correct answer: 2. Perimetry

Explanation: Ans. is "B". Perimetry Field of vision o The extent of the normal visual field is limited in an individual by anatomical features such as the brow superiorly, the nose nasally (medially) and the cheek inferiorly. The field for a white target extends:- # Upwards (superior) - 50-60 degrees # Downwards (inferior) - 70-75 degrees # Inwards (nasally) - 60 degrees # Outwards (temporally) - 90-100 degrees o The tests used to measure the field of vision are i) Confrontation test. ii) Perimetry :- Kinetic perimetry, or automated perimetry. o Visual field defects are best detected by Goldmann kinetic perimetry and Humphery automated threshold perimetry. Goldman scale in perimetry.